Recurrence rate of ectopic pregnancy in a patient previously treated for ectopic-
1. 25%
2. 15%
3. 30%
4. 50%

Correct answer: 2. 15%

Explanation: A previous history of ectopic pregnancy is the strongest risk factor for another ectopic pregnancy. The increased incidence is due to both : presence of previous factors that led to initial ectopic and potential damage to fallopian tube from the prior ectopic and its treatment. Chance for intrauterine pregnancy: 40 % Chance for recurrent ectopic: 15 % (range: 4 % to 28%)